Muscle of mastication are derivative of
1. 1st pharyngeal arch
2. 2nd pharyngeal arch
3. 3rd pharyngeal arch
4. 4th pharyngeal arch

Correct answer: 1. 1st pharyngeal arch